A patient of peptic ulcer disease. When investigated endoscopically showed chronic antral gastritis. Which of the following dye will be able to stain the specimen?
1. PAS
2. Zeihl-Neilson stain
3. Gram stain
4. Warthin-Starry stain

Correct answer: 4. Warthin-Starry stain

Explanation: Ans. (d) Warthin-Starry stainRef: Sabiston 20th Edition, Pages 1197-1198* The stain used for H. pylori are --Warthin Starry and Silver stain.* Other stain used is Giemsa stain.